Kiel bone is:
Xenograft
Allograft
Treated by detergent, sterilized and freeze dried.
Ox or calf bone denatured with 20% H2O2, acetone and sterilized.
1. 1&3
2. 2&3
3. 1&4
4. 2&4

Correct answer: 3. 1&4